Which of the following is a cause of unilateral hyperluscent lung on chest radiography?
1. Poland Syndrome
2. Asthma
3. Acute Bronchiolitis
4. Pleural effusion

Correct answer: 1. Poland Syndrome

Explanation: Hyperluscent Lung Unilateral Bilateral Chest Wall defects Mastectomy Poland syndrome(absent pectoralis muscle) Endobronchial obstruction Pulmonary Vascular causes: Pulmonary arterial hyperplasia Pulmonary embolism Congenital lobar emphysema Decreased soft Tissue Thin body habitus Bilateral mastectomy Cardiac causes of decreased pulmonary blood flow: Right to left shunt Eisenmenger's syndrome Pulmonary causes of decreased pulmonary blood flow: Pulmonary embolism Emphysema Bulla or bleb Interstitial emphysema Ref: Wolfgang Radiology Pgno: 271